Which of the following Artery supplies the thyroid gland?
1. Internal carotid artery
2. Thyrocrvical trunk
3. Lingual artery
4. Subclavian artery

Correct answer: 2. Thyrocrvical trunk

Explanation: Arterial Supply of thyroid gland:-
Mainly supplied by:

Superior thyroid arteries (this is branch of external carotid artery)
Inferior thyroid arteries (this is a branch of the thyrocervical trunk that arises from the subclavian  artery)